Collar stud abscess occurs in
1. Cervical T.B. Lymphadenitis
2. Peri Tonsillar abscess
3. Pyogenic Lymphadenitis
4. Retro Pharyngeal abscess

Correct answer: 1. Cervical T.B. Lymphadenitis